Which is most dangerous for transmitting plague -
1. Blocked flea
2. Partial blocked flea
3. Both
4. Unblocked flea

Correct answer: 2. Partial blocked flea

Explanation: plaque is primarily a zoonoses caused by Yersenia pestis. -The commonest and the most efficient vector of the plaque is rat flea, Xenopsylla cheopis. - a partially blocked flea is more dangerous than a completely blocked flea due to longer life span. Reference : Park's textbook of preventive and social medicine, 23rd edition, pg no:293